Chocking is constricting device within the barrel at the muzzle end of -
1. Revolver
2. 303 rifle
3. Shot gun
4. Semiautomatic pistol

Correct answer: 3. Shot gun

Explanation: The synopsis of forensic medicine & toxicology ; Dr k.s narayan reddy ; 28th edition ; pg.no 122 The choke bore present in a shot gun ,the distal 7-10 cm of the barrel is narrow . There are some shotguns which have a small portion of their bore near the muzzle end rifled ,which are called "paradox gun" .